Which of the following is best associated with lumefantrine
1. Antimycobacterial
2. Antifungal
3. Antimalarial
4. Antiamoebic

Correct answer: 3. Antimalarial

Explanation: Refer KDT 6/e p795 Like halofantrine, lumefantrine, is also used for the treatment of malaria